A patient report to the dentist with trauma to immature tooth with open apex now dentist plan to do R.C.T. Best way to measure working length in this patient is by ?
1. Electronic apex locator
2. Radiographic method
3. Tactile method
4. Paper point

Correct answer: 4. Paper point